Alpha 2 agonist cause all of the following Except
1. Analgesia
2. Hyperalgesia
3. Sedation
4. Anxiolysis

Correct answer: 2. Hyperalgesia

Explanation: Ref: KD Tripathi pharmacology 7th edition (page.no: 384) Alpha 2 agonists produce sedation, analgesia, anxiolysis, muscle relaxation, decreases BP they will not increase pain or produce Hyperalgesia eg: clonidine, dexmedetomidine, methyldopa etc